Patients with generalized anxiety disorder have?
1. Delusion
2. Night mares
3. Obsession
4. Worries

Correct answer: 4. Worries

Explanation: Constant worrying about trivial things is important feature in patients with GAD. Diagnosing Generalized Anxiety Disorder: More than 3 months of the following characteristic symptoms are necessary for diagnosis of GAD. Free floating anxiety Inability to relax Motor tension and restlessness